The sulphur granules in the wound are diagnostic of:
1. Nocardia
2. Actinomyces
3. Clostridium welchii
4. Aspergillus flavum

Correct answer: 2. Actinomyces

Explanation: Actinomyces